A patient is diagnosed to have CIN II. She approaches you for advice. You can definitely tell her the risk of malignancy as:
1. 15%
2. 60%
3. 30%
4. 5%

Correct answer: 4. 5%

Explanation: Rate of progression of CIN